Which of the following statements about 'Late expanding phase' of emographic cycle is true -
1. Birth rate is lower than death rate
2. Death rate begins to decline while birth rate remains unchanged
3. Death rate declines more than birth rate
4. High death rate and high birth rate

Correct answer: 3. Death rate declines more than birth rate

Explanation: Late expanding phase of demographic cycle (third stage) is characterized by a decline in death rate which is greater than the decline in birth rate.